Osmotic fragility is increased in ?
1. Sickle cell anaemia
2. Thalassemia
3. Hereditary spherocytosis
4. Chronic lead poisoning

Correct answer: 3. Hereditary spherocytosis

Explanation: Ans. is 'c' i.e., Hereditary spherocytosis Osmotic fragility of Red blood cells. Red blood cell osmotic fragility is the resistance of RBC hemolysis to osmotic changes. o Normally RBC maintains osmotic equilibrium with the surrounding medium i.e., with serum that has 0.9% NaCl. o As the surrounding medium becomes hypotonic fluid will enter into the cell along osmotic gradiant, eventually under very hypotonic conditions the cell will enlarge to capacity and rupture -4 Osmotic lysis. Osmotic fragility is determined by measuring the degree of hemolysis in hypotonic saline. o Normal red cell begins to lyse at 0.5% NaC1 and the hemolysis is complete at 0.3 NaCl. o Red blood cells osmotic fragility is considered to be increased if hemolysis occur in a NaC1 concentration > 0.5%. o Osmotic fragility is considered to be decreased if the hemolysis is not complete in a 0.3% of NaCl. Increased osmotic fragility o Hereditary spherocytosis o Hemolytic anemia (acquired immune) o Malaria o Severe pyruvate kinase dificiency o Hemolytic disease of newborn Decreased osmotic fragility o Iron deficiency anemia Thalassemia Liver disease Reticulocytosis o Hemoglobinopathies, MS, HbC.